Facial recess is bounded by:
1. Medially by the vertical part of VII nerve
2. Laterally by the chorda tympani
3. Above by fossa incudis
4. All of the above

Correct answer: 4. All of the above

Explanation: (d) All of the above(Ref. Cummings, 6th ed., 509; 2192)Facial recess is an area on the posterior wall of middle ear. The facial recess is limited superiorly by the fossa incudis, laterally by chorda tympani entry and medially by the descending/vertical facial nerve segment.The facial recess is the site where opening is made on the posterior wall to access the middle ear cavity through the mastoid in "INTACT CANAL WALL" ear surgeries. This is known as the posterior tympanotomy approach.